Glanzmann thrombasthenia is due to
1. Decreased GpIb
2. Decreased GpIIb/IIa
3. Anti-GpIIb/IIIa antibodies
4. Inhibition or deficiency of ADAMTS 13

Correct answer: 2. Decreased GpIIb/IIa

Explanation: Glanzmann thrombasthenia is an autosomal recessive disorder. There is a failure of primary platelet aggregation with ADP or collagen due to inherited deficiency of two platelets membrane glycoproteins. It is caused due to deficiency of glycoprotein IIb- IIa.